True about Stage III B Endometrial Ca:
1. Vaginal metastasis
2. Lymph nodal metastasis
3. Bowel involvement
4. Lung metastasis

Correct answer: 1. Vaginal metastasis

Explanation: Ans: A (Vaginal metastasis) FIGO staging of endometrial cancerStage 1Cancer confined to the corpus uteriIATumour limited to the endometriumIBTumour involving half or less than half the myometriai thicknessICTumour involves more than half the myometriai thicknessStage IITumour involves cervix but does not extend beyond uterus5IIAEndocervicai gland involvement only1IBCervical stromal invasionStage IIILocal and/or regional spread'3IIIATumour involves serosa, spreads to adnexa, positive peritoneal cytologyIII BPresence of vaginal metastasis3 incNode metastasis to pelvisand para-aortic lymph nodesStage IVTumour widespreadIVATumour involves bladder and/or bowel mucosaIVBTumour shows distant metastasis (intra-abdominal and inguinal lymph nodes)NoteNuclear atypia raises the grade of tumour 1 and 2 by 1Nuclear grading of adenocarcinomas is based on nuclear grading of the glandular component.Nuclear grading takes precedence in all carcinomas.Management of Stage 111 Endometrial Ca#"Surgical procedure includes- peritoneal washings' for cvtological examination, selective paraaortic & pelvic lymphadenoectomy, removal of any enlarged lymph node, biopsy or excision of any suspicious areas within the peritoneal cavity & partial omentectomy & peritoneal biopsies"- Novak's 14th/1376# Except in patients with bulky parametrial disease, total abdominal hysterectomy & b/1 salpingo-oophorectomy should be performed.